Arrange the following causes of NCD deaths as per decreasing order of frequency? A. Cancers B. Cardiovascular diseases C. Diabetes D. Respiratory diseases
1. A>D>C>B
2. D>A>B>C
3. B>A>D>C
4. C>B>D>A

Correct answer: 3. B>A>D>C

Explanation: The four main NCDs are cardiovascular diseases, cancers, diabetes and chronic lung diseases. The leading causes of NCD deaths in 2016 were Cardiovascular diseases ( 44% of all NCD deaths) Cancers (22% of all NCD deaths) Respiratory diseases, including asthma and chronic obstructive pulmonary disease (9% of all NCD deaths). Diabetes caused another 1.6 million deaths.